Which of the following tests is the least useful in endodontic diagnosis of children?
1. Percussion
2. Palpation
3. Electric pulp test
4. Cold test

Correct answer: 3. Electric pulp test

Explanation: Electric pulp testL Until apical closure occurs, teeth do not respond normally to electric pulp testing. In addition, a traumatic injury may temporarily alter the conduction capability of nerve endings and/or sensory receptors in the pulp. A patient with a vital pulp may not experience any sensation right after trauma.